A 26-year-old woman presents to her primary care physician with fever, malaise, and "yellow eyes." She denies alcohol abuse, but admits to indulging in a dozen raw oysters at happy hour 3 weeks ago. In addition to scleral icterus, physical examination reveals a mildly enlarged liver with tenderness to palpation. Laboratory studies demonstrate a markedly increased aspartate aminotransferase and alanine aminotransferase and increased IgM and anti hepatitis A titers. Which of the following is the most likely result of this infection?
1. Cirrhosis
2. Complete resolution
3. Establishment of a chronic carrier state
4. Fulminant hepatitis

Correct answer: 2. Complete resolution

Explanation: The patient has a case of hepatitis A (HAV), most likely associated with the consumption of uncooked shellfish. Complete resolution occurs in an overwhelming majority of cases. Although possible, fulminant hepatic failure is unlikely with HAV infection. There is no association of HAV with either cirrhosis or hepatocellular carcinoma, as there is for hepatitis B and C.